The commonest cause of primary amenorrhea with ambiguous genitalia in a female with 46XX chromosome :
1. 21 hydroxylase def.
2. 17 hydroxylase def.
3. 11 hydroxylase def.
4. Desmolase hydrolase def

Correct answer: 1. 21 hydroxylase def.

Explanation: A i.e. 21- hydroxylase deficiencyClassic 21 - hydroxylase deficiency is most common cause of ambiguous genitalia in new born (virilization) and primary amenorrheaQ. i.e. Pseudohermaphroditism of female childPrimary amenorrhea with VirilizationQ in females is in:- 21 - hydroxylase deficiency- 11 - Hydroxylase deficiencyTypesMain function ofenzymeMineralococoid(M)Glucocorticoid(G)AndrogenFeatures21- OH-deficiencyGlucocorticoid &Mineralocorticoidproduction U"l'* HypotensionQ(salt losing virilization)* VirilizationQ in females* Precocious puberty in femalesQ.11 hydroxylase-deficiencyGlucocorticoidproductionT.1.1,T* HypertensionQ* VirilizationQ in females* Precocious puberty in femalesQ.17- hydroxylasedeficiencyGlucocorticoid &Androgen production'1'.1,14* Male hermaphroditeQ* Primary atnenorrhea infemalesQ.* HypertensionQ3 - p-hydroxylasedeficiencyMineralcorticoid &glucocorticoidproduction..1,.1,T* Male hermaphrodite.